Pasteurization is____________________disinfection
1. Precurrent
2. Concurrent
3. Preconcurrent
4. Terminal

Correct answer: 1. Precurrent

Explanation: Ans. is 'a' i.e., Precurrent 1. Types of disinfection Precurrent (prophylactic) disinfection o It is done as a preventive method (person is not ill). o For example --> Chlorination of water, pasteurization of milk, Handwashing. Concurrent disinfection 2. It is done when person is ill. o It is the application of disinfective measures as soon as possible after the discharge of infectious material from the body of patient or after the soiling of articles with such material, i.e., the disease agent is destroyed as soon as it is released from the body, and in this way further spread of the agent is stopped. o e.g., disinfection of urine, faeces, vomit, contaminated linen, clothes, hands, dressing, aprons, gloves etc. 3. Terminal disinfection o It is the application of disinfective measures after the patient has taken discharge from hospital or he/she has died. e.g., disinfection of hospital rooms & floor, burning or burial of soiled material. Before illness Precurrent disinfection Illness Concurrent disinfection After illness Terminal disinfection